What is the approximate weight of thymus gland at puberty?
1. 15 gms
2. 35 gms
3. 25 gms
4. 55gms

Correct answer: 2. 35 gms

Explanation: The thymus is largest and more active during the neonatal and pre-adolescent periods. By the early teens, the thymus begins to atrophy and thymic stroma is replaced by adipose tissue. Nevertheless, residual T lymphopoiesis continues throughout adult life. The thyroid reaches maximum weight ( 20-37 grams) by the time of puberty. Age Mass Birth about 15 gms Puberty About 35 gms Twenty- five years 25 gms Sixty years < 15 gms Seventy years as low as 5 gms